The gas responsible for Bhopal gas tragedy was ?
1. Methyl isocyanate
2. Potassium isothiocyanate
3. Sodium isothiocyanate
4. Ethyl Isothiocyanate

Correct answer: 1. Methyl isocyanate

Explanation: .Methyl isocyanate is an organic compound with the molecular formula CH3NCO. Synonyms are isocyanatomethane, methyl carbylamine, and MIC. Methyl isocyanate is an intermediate chemical in the production of carbamate pesticidesMethyl isocyanate (MIC) will react with water, or in the presence of catalysts (such as sodium hydroxide, sodium methoxide, triphenylarsine, triethyl phosphine. ref;park's textbook of preventive and social medicine,22 nd edition,pg no